Green color in triage denotes-
1. Dead patients
2. Ambulatory patients
3. Medium priority
4. High priority

Correct answer: 2. Ambulatory patients

Explanation: Ans. is 'b' i.e., Ambulatory patients * The most common triage classification system used international is four colour code system.1. Red - High priority treatment or transfer2. Yellow - Medium priority3. Green - Ambulatory patients4. Black - Dead or moribund patients